In a plague epidemic all of the following are done to control it, except -
1. Isolation of cases
2. Vaccination of the susceptibles
3. Surveillance
4. Chemoprophylaxis with tetracycline

Correct answer: 2. Vaccination of the susceptibles

Explanation: The measure for control of plaque include ; - surveillance - control of cases: early diagnosis and treatment. Isolation of the cases. - chemoprophylaxis with tetracycline -immunisation with plaque vaccine is a valuable preventive measure. The WHO recommends that under all circumstances, vaccination should be used only for the prevention not the control of human plaque. Reference : Park's textbook of preventive and social medicine, 23rd edition pg no:296